A 30-year-old women pretests a history of amenorrhoea and impaired vision of six-month' duration. Physical examination shows everything except for pale optic discs and diminished visual acuity. The most likely diagnosis is -
1. Craniopharyngioma
2. Pituitary adenoma
3. Hypothalamic glioma
4. Benign intracranial hypertension

Correct answer: 2. Pituitary adenoma

Explanation: pituitary adenoma inhibits GnRH causes an imbalance in FSH and LH causing amenorrhea and increased ICT causes compression of optic disc & visual field defects